The folds of Hoboken are found in:
1. The amnion
2. The placenta
3. Uterus
4. Umbilical cord

Correct answer: 4. Umbilical cord

Explanation: Ans. is d, i.e. Umbilical cordRef. Williams Obs. 22/e, p 68, 69; 23/e, p 61, 62; 23/e, p 61, 62Here are few named structures frequently asked and the organ/structure where it is found.Named structureSeen in* Nitabuch's layerIt is the zone of fibroid degeneration where trophoblast and decidua meet. Seen in basal plate of placenta.* Hofbauer cellsPhagocytic cell seen in connective tissue of chorionic villi of placenta.* Folds of HobokenUmbilical arteries* Wharton's jellyConnective tissue of umbilical cord* Peg cellsFallopian tube* Langhans cellsCytotrophoblast